One Krebs cycle generates how many ATP
1. 6
2. 10
3. 24
4. 36

Correct answer: 2. 10

Explanation: In older calculation it is 12.newly it's 10 ATP Generating Steps in TCA Cycle There are 3 NADH molecules generated during one cycle, each of them will give rise to 2 1/2 ATPs on oxidation by electron transport chain (ETC); so altogether they will give 3 x 2 1/2 = 7 1/2 (7.5) high energy phosphates. The FADH2 will generate 1 1/2 molecules of ATP. In addition, one molecule of GTP (equivalent to one molecule of ATP) is formed by substrate-level phosphorylation. Hence, per turn of the cycle, 10 high energy phosphates are produced.Ref: DM Vasudevan Textbook of Medical Biochemistry, 6th edition, page no: 220